All are made up of elastic cartilage except
1. External ear
2. Epiglottis
3. Cuneiform cartilage
4. Intervertebral discs

Correct answer: 4. Intervertebral discs